Which of the following is a contraindication for bag and mask ventilation?
1. Septicemia
2. Tracheoesophageal fistula
3. Meconium aspiration
4. Diaphragmatic hernia

Correct answer: 4. Diaphragmatic hernia

Explanation: Congenital diaphragmatic hernia (CDH) in the newborn presents as cyanosis and respiratory distress. Breath sounds may be absent on the left side of the chest and the heart sounds shifted to the right. The abdomen tends to be scaphoid. It may be difficult to effectively ventilate and resuscitate the patient. If a CDH is suspected, mask and bag ventilation must be avoided. The patient should be intubated and a sump/replogle tube placed as soon as possible to prevent air from filling the stomach and bowel and thus compromising ventilation further. Ref: Raab E.L., Kelly L.K. (2013). Chapter 22. Neonatal Resuscitation. In A.H. DeCherney, L. Nathan, N. Laufer, A.S. Roman (Eds), CURRENT Diagnosis & Treatment: Obstetrics & Gynecology, 11e.